A female patient Nandini presents with upper respiratory tract infection. Two days after. She develops Hematuria. Probable diagnosis is -
1. IgA nephropathy
2. Wegner's granulomatosis
3. Henoch sholein purpura
4. Post streptococcal glomerulonephritis

Correct answer: 1. IgA nephropathy

Explanation: The two most common presentations of IgA nephropathy are recurrent episodes of macroscopic hematuria during or immediately following an upper respiratory infection often accompanied by proteinuria or persistent asymptomatic microscopic hematuria. Ref:Harrison 20th edition pg no 2140